Nipple inversion occurs due to involvement of:
1. Cooper's ligament
2. Subareolarm duct
3. Parenchyma of breast
4. Subdermal lymphatics

Correct answer: 2. Subareolarm duct

Explanation: Ans. (b) Subareolar duct(Ref: Bailey 25/e p834)* Peau- de orange - Subdermal Lymphatic infiltration (T4b)* Dimpling/Puckering/tethering of skin - Due to Coopers ligament of breast involvement (It is not skin involvement is T staging)* Nipple retraction - Fibrosis in and around the Subareolar duct